Which of the following is false about vitreous humor after death?
1. Increased potassium
2. Decreased sodium
3. Decreased pyruvic acid
4. Raised glucose

Correct answer: 4. Raised glucose

Explanation: Ans: d (Raised glucose) Ref: Reddy, 27th ed, p. 155Level of glucose in vitreous humor after death decreases, it will not increase.Changes in virteous humor after deathIncrease in potassiumIncrease in lactic acidDecrease in sodiumDecrease in pyruvic acidThere is anaerobic glycolysis which leads to decrease in glucose and decrease in pyruvic acid and increase in lactic acid.NoteGlucose > 200 mg/dl in vitreous after death is indicative of diabetes mellitusVitreous is preserved in sodium fluoride (AIIMS 2007 NOV)Vitreous is preserved in poisoning due to alcohol, chloroform, morphine and cocaine.